Kernahan Striped Y Classification - The major reference point is.
1. Soft palate
2. Hard palate
3. Incisive foramen
4. Third molar

Correct answer: 3. Incisive foramen

Explanation: Ans. (c) Incisive foramenRef: Internet Sources, Syed Nasir Shah, Mariya Khalid, Muhammad Sartaj KhanKernahan proposed this classification in 1971.This system provides graphic classification scheme using Y-configuration as shown in image.* Areas 1 and 4 - Lip (It represents the fusion line between the maxillary prominence and medial nasal prominence at lip level).* Areas 2 and 5 - Alveolus (It represents the fusion line between the maxillary prominence and intermaxillary segment).* Areas 3 and 6 - Primary Palate (It represents the fusion line between the primary and secondary palate and lies anterior to the incisive foramen).* Areas 7 and 8 - Hard palate (It represents the fusion line between palatine shelves of the hard palate posterior to the incisive foramen).* Area 9 - Soft palateThe small circle represents incisive papilla. In order to show the cleft, stippling of the appropriate areas is done on the above diagram.For Examples:* Clefts of the soft palate will be represented by the following diagram* Left Cleft lip will be represented by the following diagram.